Nucleus intercalatus is seen in
1. Frontal lobe
2. Medulla
3. Temporal lobe
4. Midbrain

Correct answer: 2. Medulla

Explanation: Nucleus intercalates is present in the medulla at the level of olives between the dorsal nucleus of the vagus nerve (lateral to the intercalated nucleus) and the nucleus of the hypoglossal nerve. Probably involved in the control of the vestibuloocular reflex and may contribute to the vertical neural integrator. (Ref: vishram Singh textbook of clinical neuroanatomy second edition pg 77)